Respiratory minute volume of lung is
1. 6 L
2. 4 L
3. 500 mL
4. 125 L

Correct answer: 1. 6 L

Explanation: Respiratory minute volume of the lung is 6 litres Ref: guyton and hall textbook of medical physiology 12 edition page number:324,325,326